Most common side effect of miltefosine is ?
1. Vomiting and diarrhea
2. Dermatitis
3. Hepatotoxicity
4. Nephrotoxicity

Correct answer: 1. Vomiting and diarrhea

Explanation: Ans. is'a'i.e., Vomiting and diarrheaRef. Hanbon's Ch. 212Miltefosine is an antileishmanial drug used orally for kala-azar.Vomiting and diarrhea are the most common adverse effect with miltefosine.Other common side effects are decreased appetite, dizziness, motion sickness, headache and weakness.